The enzyme deficient in Von-Gierke's disease is
1. Glucose-6-phosphatase
2. Acid maltase
3. Muscle phosphorylase
4. Liver phosphorylase

Correct answer: 1. Glucose-6-phosphatase

Explanation: Repeated question